Which among these is not an ideal property of soldering material?
1. Corrosion resistant
2. Non-pitting
3. High fusing
4. Free flowing

Correct answer: 3. High fusing